Most common cause of cortical blindness ?
1. Unilateral occipital lobe infarction
2. Bilateral temporal lobe infacion
3. Bilateral occipital lobe infarction
4. Unilateral temporal lobe infarction

Correct answer: 3. Bilateral occipital lobe infarction

Explanation: Ans. is 'c' i.e., Bilateral occipital lobe infarction CORTICAL BLINDNESS Cortical blindness (visual cortex disease) is produced by bilateral occipital lobe lesions. Unilateral occipital lobe lesions typically produce contralateral macular sparing congruous homonymous hemianopia. Causes of cortical blindness include: Vascular lesions producing bilateral occipital infarction are the commonest cause of cortical blindness (e.g., embolisation of posterior cerebral arteries). Head injury involving bilateral occipital lobes is the second common cause. Tumours, primary (e.g., falcotentorial meningiomas, bilateral gliomas) or metastatic are rare causes. Other rare causes of cortical blindness are migraine, hypoxic encephalopathy, Schilder's disease and other leukodystrophies.